Which is not major rheumatic fever?
1. Carditis
2. Subcutaneous nodules
3. Increased ASLO
4. Arthritis

Correct answer: 3. Increased ASLO

Explanation: Acute rheumatic fever occurs most often in children the principal manifestation is carditis Nevertheless about 20% of first attack in adults with arthritis The diagnosis of acute rheumatic fever is made based on serologic evidence of previous streptococcal infection in conjugation with two or more of Jones criteria Carditis Migratory poly arthritis of large joint Subcutaneous nodules Erythmea marginatum skin rashes Sydenham chorea Robbins 9 th edition page no. 392